All of the following are known risk factors for the development of ovarian carcinoma except :
1. Family history of ovarian carcinoma
2. Use of oral pills
3. Use of Clomiphene
4. BRCA - 1 positive individual

Correct answer: 2. Use of oral pills

Explanation: Ans. is b i.e. Use of oral pills Oral pills decrease risk of developing ovarian carcinoma. Risk factor for ovarian cancer : Factors related to ovary Personal Factors Genetic disease PCOD Ovulation inducing drugs Exogenous estrogens Family history High dietry intake of saturated fat Nulliparity Turner syndrome - increases risk of dysgerminoma and gonadoblastoma Breast ovarian cancer syndrome - related to mutation in BRCA-1 & BRCA-2 HNPCC syndrome = Lynch II syndrome - associated with colon cancer, Facto. ....t.;;Aeasing ovarian cancer : Oral contraceptive pills (decrease risk by 50% for user of 5 years or longer) Pregnancy - (Risk reduction of 13 to 19% per pregnancy) Breast feeding - Chronic anovulation - Multiparity Tubal ligation, hysterectomy. Remember :A simple "Funda" Repeated ovulation increases the risk of ovarian cancer. So, anovulation, pregnancy, multiparity and breast feeding are protective against ovarian cancer.